Which of the following is not a part of control measures for diphtheria ?
1. Treatment of cases with erythromycin
2. Treatment of carriers with antitoxin
3. Isolation of cases
4. Regular immunization of under-fives

Correct answer: 2. Treatment of carriers with antitoxin

Explanation: Ans. is 'b' i.e., Treatment of carriers with antitoxin Control of diphtheria o Control diphtheria requires :? i) Control in cases and carrier ii) Control for contacts (prophylaxis for contact) iii) Prophylaxis for community --> by vaccination Control in cases and carrier I) Early diagnosis By nose & throat examination and culture. 2) Isolation ---> For at least 14 days or until proved free of infection, i.e. at least 2 consecutive nose and throat swabs, taken 24 hours apart, should be negative before terminating isolation. 3) Treatment i) Cases ---> Diphtheria antitoxin plus penicillin or erythromycin. ii) Carrier ----> Erythromycin